Lecithin-Sphingomyelin ratio is used for:
1. Lung maturity
2. Age of infant
3. Kidney maturity
4. Brain maturity

Correct answer: 1. Lung maturity

Explanation: a. Lung maturity(Ref: Nelson's 20/e p 2088-2093, Ghai 8/e p 379-381)By 35 wk of gestation, the lecithin: sphingomyelin (L:S) ratio averages about 2:1, indicative of lung maturity.